The lymphocytic and histiocytic variant of Reed? Sternberg cell is seen in -
1. Follicular center lymphoma
2. Lymphocyte depleted Hodgkin's disease
3. Nodular sclerosis Hodgkin's disease
4. Lymphocyte predominant Hodgkin's disease

Correct answer: 4. Lymphocyte predominant Hodgkin's disease

Explanation: Ans. is 'd' i.e., Lymphocyte predominant Hodgkins disease o Identification of Reed-Sternberg cells and their variants is essential for histological diagnosis. Classical Reed Sternberg cells o Large cells o Have multiple nuclei or single nucleus with multiple lobes. o Each lobe contains large inclusion like nucleolus about the size of small lymphocytes. o Several variants of Reed-sternberg cells are also recognized. B. Variants of Reed-Sternberg cells (i) Mononuclear variant o Same like RS cells but is mononucleated. o Mainly present in mixed cellularity type. (ii) Lacunar cells o Hyperlobated nucleus, multiple small nuclei and eosinophilic cytoplasm which is refrasted around the nucleus creating an empty space called lacunae. o Mainly present in Nodular sclerosis type. (iii) Lympho-histocytic variant (L & H cells) o Cells with polypoid nuclei resembling popcorn kernels --> also called popcorn cells. o Mainly present in lymphocytic predominance type. (iv) Pleomorphic variant o Mainly present in lymphocytic depletion type. Note : Atypical histiocytes known as hodgkins cells are present in lymphocytic depletion type.